All are risk factors for hyperemesis gravidarum, EXCEPT?
1. Hyperthyroidism
2. Twin pregnancy
3. Molar pregnancy
4. Gestational diabetes

Correct answer: 4. Gestational diabetes

Explanation: Following are risk factors for Hyperemesis Gravidarum LEARNING TIP: ALL CASES WITH INCREASED HCG WILL LEAD TO INCREASED RISK OF HYPEREMESIS multiple pregnancy molar gestation family history of HG past history of HG female gestation hyperthyroidism nulliparity young age hyperparathyroidism